Which of the following components is a potent neutrophil chemotactic agent?
1. C 1
2. C 2
3. C5a
4. C789 complex

Correct answer: 3. C5a

Explanation: C5a promotes chemotaxis. The complement components C l, C2, and the C789 complex do not promote chemotaxis.